Bitot's spots are seen in
1. Conjunctiva
2. Cornea
3. Retina
4. Vitreous

Correct answer: 1. Conjunctiva

Explanation: Bitot's spots:Bitot's spots are triangular, pearly white or yellowish foamy spots on the bulbar conjunctiva on either side of the cornea. They are frequently bilateral. seen in young children usually indicating vitamin A deficiency. In older individuals, these spots are often inactive sequelae of the earlier disease. Ref: Park; 23rd ed; Pg 616